Schwalbe's ring corresponds to:
1. Corneal endothelium
2. Descemet's membrane
3. Schlemm's canal
4. Ciliary body

Correct answer: 2. Descemet's membrane

Explanation: Ans. Descemet's membrane